Radical retroperitoneal lymphnode dissection is indicated for all the following testicular tumours except -
1. Choriocarcinoma
2. Teratoma
3. Teratocarcinoma
4. Seminoma

Correct answer: 4. Seminoma